Which of the following is explicit memory
1. Procedural
2. Nondeclarative
3. Sementic
4. Working

Correct answer: 3. Sementic

Explanation: Declarative memory provides for the rapid learning of facts (semantic memory) and events (episodic memory). Ex. Facts, events. Non declarative memory includes skills & habits, priming, simple classical conditioning, non associative learning. Reference: Kaplan & Sadock's synopsis of psychiatry, 11th edition, page 117.